Weight of a newborn triples at the age of:-
1. 5 months
2. 6 months
3. 1 year
4. 2 years

Correct answer: 3. 1 year

Explanation: Average birth weight in India: 2.8 kg. (2.7-2.9 kg) Birth weight doubles at 5 months, triples by 1 year and quadruples by 2 years of age. Minimum expected weight gain per month: 500 grams. Height- average birth length in India- 50 cm Height at the end of infancy- 75 cm height doubles by 4 years